Which of the following vectors has a habit of frequent vomiting?
1. Sand flea
2. House fly
3. Mite
4. Mosquito

Correct answer: 2. House fly

Explanation: Housefly has a habit of frequent vomiting. The regurgitated stomach contents or "vomit drop" is a source of infection. Chapter: Environment and health Ref: Park 21st edition page: 715.